All of the following agents have polysaccharide capsule related antigen antibody responses except -
1. Pneumococcus
2. Meningococcus
3. Haemophilus influenzae
4. Bordetella pertussis

Correct answer: 4. Bordetella pertussis